Amino acid with a basic side chain:
1. Methionine
2. Leucine
3. Aspartic acid
4. Histidine

Correct answer: 4. Histidine

Explanation: Amino acids with basic side chain: Histidine, Lysine, Arginine.
Amino acids with acidic side chain: Aspartic acid, Glutamic acid.
Non charged polar amino acids: Cysteine, Asparagine, Serine, Threonine, Glutamine, Tyrosine (CAST GaTe)